Which of the following is an enveloped DNA virus?
1. Rhabdovirus
2. Hepatitis B virus
3. Adenovirus
4. Parvovirus

Correct answer: 2. Hepatitis B virus

Explanation: Hepadna virus and herpes virus are double-stranded enveloped virus Adeno and Parvo virus are naked DNA virusRhabdo are eveloped RNA virusJawetx 27e pg:399